Which of the following do not form violet colour in Biuret test?
1. Dipeptides
2. Alanine
3. Lactose
4. All of the above

Correct answer: 4. All of the above

Explanation: Biuret test is for proteins. This test requires minimum of two peptide bonds.